A Primi mother having 3 weeks male child, which is presenting with noisy breathing sound child is afebrile, sleeping & feeding well & on clinical examination, He is normal. Management protocol include -
1. Begin IV antibiotics
2. Reassure & give saline nasal drop
3. Give recemic epinephrine
4. Order for a chest X-ray

Correct answer: 2. Reassure & give saline nasal drop

Explanation: Ans. is 'b' i.e., Reassure & give saline nasal drop o This 3 weeks male child with noisy breathing does not have chest indrawing or fast breathing (as clinical examination is normal). So, this child is having simple cough or cold, no pneumonia. o Management includes : - i) Reassurance to mother ii) Frequent breast feeding iii) Keep the baby warm iv) Clear the nose